Epithelial xerosis of conjunctiva is caused by -
1. Trachoma
2. Diphtheria
3. Xerophthalmia
4. Pemphigus

Correct answer: 3. Xerophthalmia

Explanation: Epithelial xerosis: It occurs due to hypovitaminosis -A. Epithelial xerosis may be seen in association with night blindness or as a part and parcel of the xerophthalmia (the term which is applied to all ocular manifestations of vitamin A deficiency which range from night blindness to keratomalacia ref : A K KHURANA OPHTALMOLOGY,E4, page-84 ref img